Dental instrument used with a 'Push' motion is
1. Hoe
2. Chisel
3. Curette
4. Sickle scaler

Correct answer: 2. Chisel